Drug induced lupus antibodies are found in ?
1. Anti-Rho
2. Ds-DNA
3. Anti-Sm
4. Anti-histone antibody

Correct answer: 4. Anti-histone antibody

Explanation: Ans. is 'd' i.e., Anti Histone antibody Drug induced lupus ervthematosus o A lupus like syndrome may develop in patients receiving a variety of drugs. o Procainamide and hydralazine are most common offenders. o Most patients do not have symptoms of lupus erythematosus. o Anti ds DNA antibody is rare There is an extremely high frequency of antihistone antibodies. o Although multiple organs may be affected renal and CNS involvement, usually does not occur.